Neurogenic shock is characterized by
1. Hypertension and tachycardia
2. Hypertension and bradycardia
3. Hypotension and tachycardia
4. Hypotension and bradycardia

Correct answer: 4. Hypotension and bradycardia

Explanation: High spinal cord injury there is failure of sympathetic outflow and adequate vascular tone (neurogenic shock). The cause in sepsis is less clear but is related to the release of bacterial products (endotoxin) and the activation of cellular and humoral components of the immune system. There is maldistribution of blood flow at a microvascular level with arteriovenous shunting and dysfunction of cellular utilization of oxygen.